Orally active hormone is
1. TSH
2. Thyroxine
3. GH
4. Prolactin

Correct answer: 2. Thyroxine

Explanation: Levothyroxine is an orally active hormone- T4 given daily on empty stomach in doses of 12.5, 25, 50,75 or 100 mcg depending on the clinical condition of hypothyroidism REF KD Tripathi 8th ed